Continuous murmur is heard in?
1. Patent ductus arteriosus
2. Ventricular septal defect
3. Atrial septal defect
4. Tetralogy of fallot

Correct answer: 1. Patent ductus arteriosus

Explanation: ALL OPTIONS: - PDA = Continuous murmur - VSD= Pansystolic murmur - ASD= Silent, wide fixed split of S2 is seen - TOF= Ejection Systolic Murmur